Broad Granular casts are seen in
1. Chronic renal failure
2. Glomerular injury
3. Thrombotic Microangiopathy
4. Pyelonephritis

Correct answer: 1. Chronic renal failure

Explanation: Broad granular casts - Chronic renal failure.
RBC casts - Glomerular injury.